Term cafe coronary was coined by -
1. Roger Haugen
2. J. Morton
3. NeilMarkson
4. M.Hoppefield

Correct answer: 1. Roger Haugen

Explanation: Ans. is 'a' i.e., Roger Haugen "A popular term 'cafe coronary * was coined by Dr. Roger Haugen, Medical Examiner of Broward County, Florida for such impaction of food in the respiratory passage ".-- Krishan Vij